Taste sensation to anterior 2/3 of tongue is supplied by
1. Glossopharyngeal nerve
2. Jacobson's nerve
3. Trigeminal nerve
4. Chorda tympani nerve

Correct answer: 4. Chorda tympani nerve

Explanation: D. i.e. Chorda tympani nerve